Dontrix gauge is used for
1. Measurement of wire strength
2. Measurement of farce
3. Measurement of wire distortion
4. Measurement of wire deformation

Correct answer: 2. Measurement of farce